Widal test is an example of Test.
1. Flocculation
2. Agglutination
3. Both
4. None of the above

Correct answer: 2. Agglutination

Explanation: Agglutination